The cell membrane consists of various components, including integral proteins. These integral proteins
1. Are not attached to the outer leaflet
2. Are not attached to the inner leaflet
3. Include transmembrane proteins
4. Are preferentially attached to the surface

Correct answer: 3. Include transmembrane proteins

Explanation: The membrane proteins are classified into two categories: Integral proteins or intrinsic membrane proteins Peripheral proteins or extrinsic membrane proteins. Integral proteins are not only closely associated with the lipid bilayer but also tightly bound to the cell membrane.